Radiofrequency ablation treatment is most useful in:
1. Ventricular fibrillation
2. Atrial fibrillation
3. WPW syndrome
4. Ventricular premature complex

Correct answer: 3. WPW syndrome

Explanation: Ans. WPW syndrome